Truo aboul proliteratlon phase ol the endometrium is :
1. lt starts and proceeds rapidly tor 3 - 5 days
2. The glands ot th'6 functional layer are simple lubules with regular spithslium
3. Intense hyperemia
4. All of the above

Correct answer: 4. All of the above

Explanation: All of the above